The following is a Schneider's first rank symptom :
1. Persecutory delusion
2. Voices commenting on actions.
3. Delusion of guilt.
4. Incoherence

Correct answer: 2. Voices commenting on actions.

Explanation: B i.e. Voices commenting on actions